Commonest site of ischemic colitis ?
1. Hepatic flexure
2. Splenic flexure
3. Transverse colon
4. Sigmoid colon

Correct answer: 2. Splenic flexure

Explanation: Ans. is 'b' i.e., Splenic flexure